Clamping of the carotid arteries below (proximal) the carotid sinus is likely to produce:
1. Increase in vasomotor centre activity
2. Increase in discharge of carotid sinus afferent nerves
3. Decreased heart rate and blood pressure
4. Baroreceptor adaptation

Correct answer: 1. Increase in vasomotor centre activity

Explanation: Ans. a. Increase in vasomotor centre activityClamping of the carotid arteries proximal to the carotid sinus elevates the blood pressure and heart rate because the procedure lowers the pressure in the carotid sinus (Baroreceptor reflex